A child presents with history of high fever for 4 days along with seizures. A rash develops on trunk on the day after the fever subsides. What is the most probable diagnosis?
1. Roseola infantum
2. Measles
3. Rubella
4. Varicella

Correct answer: 1. Roseola infantum

Explanation: History of high fever & rash appearing as the fever subsides is suggestive of Roseola infantum. -Roseola infantum/sixth disease/exanthema subitum * Caused by herpes virus (HHV6A and 6B) * Clinical features: Sudden onset of high fever Rash appear when the fever subsides Nagayama spots are seen * Lab findings in Roseola infantum Relative Lymphocytosis Leukopenia